Drug of choice for galactorrhea is:
1. Bromocriptine
2. Cabergoline
3. Metformin
4. Dopamine

Correct answer: 2. Cabergoline

Explanation: Cabergoline is the DOC for hyperprolactinemia. Bromocriptine is associated with giddiness, dizziness, postural hypotension, and, rarely, hallucinations.Besides, it needs to be taken daily. Cabergoline has hardly any side effects (occasional headaches can happen), and it is to be taken once a week. Therefore it is preferred over bromocriptine.